All of the following about Bezold - Jarisch reflex are true except
1. Hypertension
2. Bradycardia
3. Capsaicin
4. Rapid shallow breathing

Correct answer: 1. Hypertension

Explanation: Activation of chemosensitive vagal C fibers in the cardiopulmonary region (eg, the juxtacapillary region of alveoli, ventricles, atria, great veins, and pulmonary artery) causes profound bradycardia, hypotension, and a brief period of apnea followed by rapid shallow breathing. This response pattern is called the Bezold-Jarisch reflex and was named after the individuals who first reported these findings. This reflex can be elicited by a variety of substances including capsaicin, serotonin, phenylbiguanide, and veratridine. And not related to hypertension